All of the following involve a two-way communication except:-
1. Symposium
2. Lecture
3. Panel discussion
4. Workshop

Correct answer: 2. Lecture

Explanation: Health communication One way Two way DIDACTIC SOCRATIC LECTURE Flannel graph Banner poster Chart pamphlet TV radio Newsprint - FGD,PD - Symposium - Workshop - spikes - Gather - Role play - seminar - Conference - Demonstration - IPC